All of the following are clinical features of myxoma, except :
1. Fever
2. Clubbing
3. Hypertension
4. Embolic phenomenon

Correct answer: 3. Hypertension

Explanation: Answer is C (Hypertension) All options other than hypertension are mentioned as features of atrial myxoma. Atrial Myxoma : Clinical Presentation: Presentation is highly dependent on position of tumour and hence it is intermittent and sudden in onset. (as a result of changes in tumor position with gravity).